Neointimal hyperplasia causes vascular graft failure as a result of hypertrophy of -
1. Endothelial cells
2. Collagen fibers
3. Smooth muscle cells
4. Elastic fibers

Correct answer: 3. Smooth muscle cells

Explanation: Ans. is 'c' i.e., Smooth Muscle Cells o After the placement of vascular grafts the primary change seen is intimal hyperplasia. o This hyperplastic change is usually confined to the graft intima and is commonly referred to as the "neo-intima", it consists predominantly of smooth muscle cells which develop directly under the graft endothelium. Why is it called neo-intima ? o Normally smooth muscles are present in the media. o In Neointima, the smooth muscle cells (usually reside in media) proliferate and migrate into the intima, so that this layer is histological similar to the combined intima and media of normal artery --> Hence the term neointima.